A resident at the emergency department is preparing for a lumbar puncture in a 26 years old female with suspected subarachnoid bleeding. Although she presented with altered sensorium, CT brain was found to be normal. During LP, which structure is pierced after the spinal needle crosses interspinous ligament?
1. Ligamentum flavum
2. Arachnoid membrane
3. Areolar tissue
4. Subarachnoid space

Correct answer: 1. Ligamentum flavum

Explanation: Skin | Sub cutaneous fascia | Supra/inter spinous ligament | Ligamentum flava | Dura mater | Arachnoid mater | Return of CSF